The father of joint replacement surgery is
1. Manning
2. Girdlestone
3. Charnley
4. Ponseti

Correct answer: 3. Charnley

Explanation: Father of the modern hip replacement: Professor Sir John Charnley (1911-82)Professor sir john charnel was a British orthopedic surgeon, inventor, and skilled craftsman. He is best known for his development of the first truly successful operation for total arthroplasty of the hip, the low-friction arthroplasty. As well as publishing significant works on closed fracture management and compression arthrodesis, he can also be accredited with pioneering work in the development of clean-air operating conditions and body-exhaust suits.(Refer: Mohindra's Fundamentals of Orthopedics, 2nd edition, pg no. 308, 507)